Anti-phospholipid Antibody syndrome is Characterized by all except
1. Antibodies directed against phospholipid binding proteins.
2. Inhibition of syncytiotrophoblast differentiation.
3. Central nervous system involvement is least common.
4. High risk of placental infarction and early-onset pre-eclampsia.

Correct answer: 3. Central nervous system involvement is least common.

Explanation: Central nervous system involvement is one of the most prominent clinical manifestations in APLAS.